Which of the following is not a pyrimidine base ?
1. Cytosine
2. Uracil
3. Guanine
4. Thymine

Correct answer: 3. Guanine

Explanation: Ans. is 'c' i.e., Guanine Purines Pyrimidines Adenine Cytosine Guanine Uraci I Thymine Both purines (adenine and guanine) are found both in DNA & RNA. Among pyrimidines - Li Cytosine and uracil are found in RNA (thymine is not found in RNA). Cytosine and thymine are found in DNA (uracil is not found in DNA). In DNA, adenine is always paired with thymine by two hydrogen bonds; and guanine always paired with cytosine by three hydrogen bonds.